Structural proteins are
1. Fibrous
2. Globular
3. Branched
4. Compound

Correct answer: 1. Fibrous

Explanation: Structural Proteins : COLLAGEN is the most abundant protein in mammals and is the main fibrous component of skin , bone , tendon cartilage and teeth. Different arrangements of collagen fibrils in tissues are seen. Parallel bundles in tendons and sheets layered at many angles in skin. Heat denatured collagen is GELATIN. REF :DM VASUDEVAN TEXTBOOK , EIGHTH EDITION , Page no :40 and 41